Most common site of osteomyelitis in children
1. Diaphysis
2. Metaphysis
3. Epiphysis
4. Growth plate

Correct answer: 2. Metaphysis

Explanation: Overall Most common location of osteomyelitis is metaphysis. It is due to high vascularity, hair-pin loop system of blood supply, more prone to trauma and monocyte-macrophage system is weaker. Most common part of osteomyelitis is lower end of Femur. Most common organism of osteomyelitis is staphylococcus aureus.